"Learned helplessness" is typically seen in
1. Delirium
2. Dementia
3. Schizophrenia
4. Depression

Correct answer: 4. Depression

Explanation: (D) Depression> Learned helplessness, as a technical term in animal psychology and related human psychology, means a condition of a human being or an animal in which it has learned to behave helplessly, even when the opportunity is restored for it to help itself by avoiding an unpleasant or harmful circumstance to which it has been subjected.> Learned helplessness theory is the view that clinical depression and related mental illnesses result from a perceived absence of control over the outcome of a situation